Most common salivary gland to develop stones
1. Submandibular
2. Sublingual
3. Parotid
4. Lacrimal

Correct answer: 1. Submandibular